Laryngeal prominence is formed by-
1. Cricoid cartilage
2. Hyoid bone
3. Anterior margin of thyroid
4. Angle of the thyroid cartilage

Correct answer: 4. Angle of the thyroid cartilage

Explanation: The lower part of anterior borders of right and left laminae of thyroid fuse and form a median projection called laryngeal prominence.